You have initiated 'Magpie' regime for a patient with eclampsia. Later you notice that the respiratory rate is 6/minute and the tendon reflexes are not elicitable. What is the next appropriate step?
1. Inject naloxone at the rate of 0.01 mg/kg over 5 minutes
2. Inject calcium gluconate 10 ml over 10 minutes
3. Inject 0.4 mg Atropine IV
4. Inject 5 mEq/kg sodium bicarbonate IV over 10 minutes

Correct answer: 2. Inject calcium gluconate 10 ml over 10 minutes

Explanation: This is a case of MgSO4 toxicity and so the antidote is IV Calcium gluconate. Respiratory rate <14/minute or absent tendon reflex or urine output of Ref: Oxford Handbook of Clinical Specialities, Edition 8, Page - 49